Total claw hand is seen in the paralysis of:
1. Ulnar and median nerve
2. Ulnar nerve
3. Median nerve
4. Radial nerve

Correct answer: 1. Ulnar and median nerve

Explanation: Ans. A: Ulnar and median nerve Claw hand deformity is manifested by flattening of the transverse metacarpal arch and longitudinal arches, with hyperextension of MCP joints and flexion of the PIP and DIP joints; This deformity is produced by imbalance of the intrinsic & extrinsics: i. Intrinsic muscles must be markedly weakened or paralyzed to produce claw deformity; Long extensor muscles hyperextend the MCP joint, & long flexor muscles flex the PIP and DIP joints; weakness of the long flexors (as in high palsy) actually decreases claw fingers; In ulnar nerve palsy, only the medial two fingers develops clawing while all the four fingers develop clawing in combined median and ulnar nerve palsy.